Which one of the following is not included as major criteria in Jones criteria?
1. Pancarditis
2. Arthritis
3. Subcutaneous nodules
4. Elevated ESR

Correct answer: 4. Elevated ESR

Explanation: Rheumatic fever is characterized by a constellation of findings out of which major criteria of Jones include: (1) migratory polyarthritis of the large joints, (2) pancarditis, (3) subcutaneous nodules, (4) erythema marginatum of the skin, and (5) Sydenham chorea, a neurologic disorder with involuntary rapid, purposeless movements.